For Mrs Rekha, probability of having a baby of BW < 2500 gms is 0.50 and of having a BW 2500-2999 gms is 0.20. So the probability for Mrs. Rekha to have a baby of BW < 3 kg is
1. 0.3
2. 1
3. 0.1
4. 0.7

Correct answer: 4. 0.7

Explanation: Here, for Mrs Rekha, probability of having a baby of BW < 2500 gms, P(A) is 0.50 and of having a BW 2500-2999 gms, P(B) is 0.20
Thus, the probability for Mrs. Rekha to have a baby of BW < 3 kg is
P(Total) = P(A) + P(B) = 0.50 + 0.20 = 0.70 (70%)
There is one more possibility, i.e. probability of having a baby of BW > 3 kg, whose probability P(C) will be 1 – (P(A) + P(B)) = 0.30 (30%).